Compartment involved in Dequervian's tenosynovitis
1. I
2. II
3. V
4. VI

Correct answer: 1. I

Explanation: Extensor pollicis brevis and abductor pollicis longus are invovled in Dequervian's tenosynovitis.
The condition is tested using FRINKELSTEIN test.